Woodruff's plexus is seen at:
1. Anterioinferior part of superior turbinate
2. Middle turbinate
3. Posterior part of inferior turbinate
4. Anterior part of inferior turbinate

Correct answer: 3. Posterior part of inferior turbinate

Explanation: Woodruff's Plexus - Site of posterior epistaxis in adults. Plexus of veins situated inferior to posterior end of inferior turbinate Ref: Dhingra 7e pg 197.